Tzank smear helps in the diagnosis of :
1. Herpes viral infection
2. Bullous pemphigoids
3. Carcinoma of cervix
4. None

Correct answer: 1. Herpes viral infection

Explanation: A. i.e. Herpes